An infant of 5 months presents with sudden dropping of head and flexion of arms. On examination, infant has hypopigmented macule on trunk. What is the drug of choice for this condition
1. Vigabatrin
2. Sodium Valproate
3. Ethosuccimide
4. ACTH

Correct answer: 1. Vigabatrin

Explanation: Sudden dropping of head and flexion of arms ⇒ Salam spells
It is seen in west syndrome.
Hypopigmented macules on trunk ⇒ Tuberous sclerosis
Drug of choice:
a) West syndrome ⇒ ACTH
b) West syndrome + Tuberous Sclerosis ⇒ Vigabatrin